Clicking noise in pneumomediastinum is known as
1. Hamman sign
2. Trail sign
3. Kussmaul sign
4. none

Correct answer: 1. Hamman sign

Explanation: In pneumomediastinum,physical examination reveals subcutaneous emphysema in the suprasternal notch and Hamman's sign,which is a crunching or clicking noise synchronous with the heartbeat and is best heard in the left lateral decubitus position.Kussmaul's sign is defined by either a rise or a lack of fall of the JVP with inspiration and is classically associated with constrictive pericarditis,restrictive cardiomyopathy,massive pulmonary embolism,right ventricular infarction,and advanced left ventricular systolic heart failure.Trail sign is the prominence of Sternocleidomastoid muscle on the side of tracheal deviation. Ref:Harrison's medicine-18th edition,page no:2182,1823